False about chalazion
1. Lipogranulomatous inflammation of meibomian gland
2. Also called meibomian cyst or tarsal cyst
3. Presents as lid swelling
4. Incision & curettage is done from conjunctival side by a horizontal incision

Correct answer: 4. Incision & curettage is done from conjunctival side by a horizontal incision

Explanation: Conjunctival side - Vertical incision.
Skin side - Horizontal incision.